All the following are contents of suboccipital triangle EXCEPT:
1. Vertebral artery
2. Dorsal ramus of C1 nerve
3. Sub occipital plexus of vein
4. Occipital artery

Correct answer: 4. Occipital artery

Explanation: Contents of suboccipital triangle are : vertebral artery (3rd part), suboccipital nerve (dorsal ramus of C1) and suboccipital venous plexus. Occipital artery lies in occipital (not suboccipital) triangle. Suboccipital triangle is a muscular space situated deep on posterior aspect of the neck, below occipital bone, one on each side of the midline and bounded by four suboccipital muscles.